Which of the following anticancer drug is excreted by lungs ?
1. 5–Fluorouracil
2. Cyclophosphamide
3. Doxorubicin
4. Cisplatin

Correct answer: 1. 5–Fluorouracil

Explanation: 5-Fluorouracil is rapidly metabolized in liver to produce biologically inactive metabolites which are eventually converted to carbon dioxide and eliminated by lungs.
Excretion of 80% of 5-FU can be accounted for by conversion to carbon dioxide within 12 hour of administration though its excretion in urine is only 15%.
Also note other drugs excreted by lungs are procainamide, procaine and antipyrine.